If blood supply to hypothalamus is interrupted through median eminence which hormone will have normal secretion?
1. GH
2. Prolactin
3. Vasopressin
4. TSH

Correct answer: 3. Vasopressin

Explanation: The AVP that is measured in peripheral blood is almost all derived from secretion from the posterior pituitary gland (except in cases of AVP-secreting tumours). Vasopressin is produced by magnocellular neurosecretory neurons in the Paraventricular nucleus of hypothalamus (PVN) and Supraoptic nucleus (SON). It then travels down the axon through the infundibulum within neurosecretory granules that are found within Herring bodies, localized swellings of the axons and nerve terminals. These carry the peptide directly to the posterior pituitary gland, where it is stored until released into the blood. However, there are two other sources of AVP with important local effects:AVP is also synthesized by magnocellular neurosecretory neurons at the PVN, transported and released at the median eminence, which then travels through the hypophyseal portal system to the anterior pituitary where it stimulates corticotropic cells synergistically with CRH to produce ACTH (by itself it is a weak secretagogue).Vasopressin is also released into the brain by several different populations of smaller patterns.Ref: Ganong's review of medical physiology, 23rd edition, Page no:667